The cell which forms blood-testis barrier is
1. Spermatogonia
2. Primary spermatocyte
3. Leydig cell
4. Sertoli cell

Correct answer: 4. Sertoli cell

Explanation: The blood-testis barrier is a physical barrier between the blood vessels and the seminiferous tubules of the testes.The name "blood-testis barrier" is misleading in that it is not a blood-organ barrier in a strict sense, but is formed between Sertoli cells of the seminiferous tubule and as such isolates the further developed stages of germ cells from the blood.